Adenosine deaminasc deficiency is seen in the following -
1. Common variable immunodeficiency
2. Severe combined immunodeficiency
3. Chronic granulomatous disease
4. Nezelof syndrome

Correct answer: 2. Severe combined immunodeficiency

Explanation: Robbins basic pathology 6th edition. Chapter Diseases of immunity. page no. 235. Severe Combined Immunodeficiency Diseases(SCID) is autosomal recessive , most common cause being deficiency of adenosine deaminase enzyme(ADA).